Retraction of scapula at sternoclavicular joint is done by:
1. Serratus anterior
2. Trapezius
3. Subscapularis
4. Supraspinatus

Correct answer: 2. Trapezius

Explanation: Retraction means moving backward of scapula at sternoclavicular joint. It is done by the following muscles: Trapezius Rhomboid major Rhomboid minor. Subscapularis helps in medial rotation of humerus. Serratus anterior helps in protraction of scapula. Supraspinatus helps in adduction.